Skin condition which resolves on its own is -
1. BCC
2. Psoriasis
3. Molluscum contagiosum
4. Eczema

Correct answer: 3. Molluscum contagiosum

Explanation: Ans. is 'c' i.e., Molluscum contagiosum o "It is important to discuss the risks and benefits of individual therapies with families before embarking on treatment for this essentially benign condition, which will generally resolve without complication in the immunocompetent individual." - Fitzpatrick 7th /ep. 1912.